A patient presented with haematuria with acute renal failure. On doing renal biopsy, it showed cresentric glomerulonephritis. Immunofluoresence findings showed C3 & IgG deposition. Most likely diagnosis among the following is?
1. Membranous glomerulonephritis
2. Minimal change disease
3. Monoclonal deposition disease
4. Acute post-infectious glomerulonephritis

Correct answer: 4. Acute post-infectious glomerulonephritis

Explanation: Answer- D. Acute post-infectious glomerulonephritisPSGN appears 1 to 4 weeks after infection of pharynx or skin by specific nephritogenic strains (12, 4 and 1) of group A beta hemolytic streptococci.The lesions are caused by Type III hypersensitivity reaction with immune complex deposition and complement activation, causing decreased complement level.Clinical features-HematuriaOliguria, Non-selective proteinuriaPSGN causes acute renal failure.By immunofluorescence microscopy, there are irregular granular deposits of IgG. IgM and C3 in the mesangium and along the basement membrane (starry sky appearance).